Concomitant administration of this drug with organic nitrates is contraindicated due to marked potentiation of vasodilatory action leading to profound hypotension. This drug is:
1. Propranolol
2. Fluoxetine
3. Hydrochlorothiazide
4. Sildenafil

Correct answer: 4. Sildenafil